Least reabsorption out of the following in the Nephron is -
1. Glucose
2. Urea
3. Na +
4. HC0

Correct answer: 2. Urea

Explanation: Renal handling of various plasma constituents in a normal adult human on an average diet.